Mosquito-borne infection is -
1. HIV
2. Leprosy
3. Japanese encephalitis
4. Plague

Correct answer: 3. Japanese encephalitis

Explanation: Vector Diseases transmitted Culex Bancroftian filariasis JE West Nile Fever Anopheles Malaria Filaria (outside India) Aedes Yellow fever Dengue Chikungunya Rift Valley Fever Mansonia Brugian filariasis and Chikungunya Soft tick Relapsing fever, Q fever, KFD (outside India) Hard tick Tularemia, Babesiosis, KFD (India), Tick paralysis, Tick encephalitis, Indian tick typhus, Tick hemorrhagic fever, Rocky Mountain spotted fever. Lice Epidemic typhus Trench fever relapsing fever